Adult worm of Echinococcus is found in:
1. Dog
2. Humans
3. Domestic animals
4. Felines

Correct answer: 1. Dog

Explanation: Ref. Textbook of Microbiology and Immunology BY Parija. – Compiled from Various chapters